Defects in Enterohepatic Circulation of Bile Acids due to the altered canalicular function is seen in:
1. Cirrhosis
2. Primary biliary cirrhosis
3. Gilbert's syndrome
4. Dubin johnson syndrome

Correct answer: 2. Primary biliary cirrhosis

Explanation: Defects in Enterohepatic Circulation of Bile Acids Decreased Bile acid synthesis is affected in Cirrhosis decreased Biliary secretion due to Altered canalicular function Primary biliary cirrhosis Ref: Harrison, E-18, P-2462.